In which of the following vessels transverse mesocolon seen ?
1. Right colic artery
2. Left colic artery
3. Middle colic artery
4. Iliocolic artery

Correct answer: 3. Middle colic artery

Explanation: Ans. is 'c' i.e., Middle colic arteryMesentery of gutVessels contained by mesenteryMesentery proper (Mesentery of small intestine)Jejunal and Ileal branches of superior mesenteric vesselsTransverse mesocolonMiddle colic vesselMesoappendixAppendicular vesselsSigmoid mesocolonSigmoid vessels